Which of the following substrates links urea cycle to Kreb's cycle?
1. Fumarate
2. Oxaloacetate
3. Ornithine
4. Citrullin

Correct answer: 1. Fumarate

Explanation: Arginosuccinate an intermediate of urea cycle is cleaved by argininosuccinate lyase to arginine and fumarate. This fumarate formed in the urea cycle can be funnelled into TCA cycle to be converted to malate and then to oxaloacetate. Oxaloacetate formed in the krebs cycle can be transaminated to aspartate which is an intermediate of urea cycle. Ref: Textbook of Biochemistry By D M Vasudevan, 3rd Edition, Page 161